Peroneal tubercle is seen in which bone
1. Cuboid
2. Talus
3. Fibula
4. Calcaneum

Correct answer: 4. Calcaneum

Explanation: CALCANEUM:- Largest tarsal bone. Anterior surface- concavoconvex articular facet for cuboid.Medial surface- shelf like projection- sustentaculum tali. Lateral surface- rough and flat.it presents in it's anterior part , a small elevation termed the peroneal trochlea/ tubercle. Peroneal tubercle lies between tendons of Peroneus brevis above and Peroneus longus below.It gives attachment to a slip from inferior peroneal retinaculum.The calcaneofibular ligament is attached 1 cm behind peroneal trochlea. {Reference: BDC 6E page no.33}